Which of the following supplies the pineal gland?
1. Posterior choroidal arteries
2. Tuberothalamic
3. Recurrent artery of Heubner
4. Lenticulostriate artery

Correct answer: 1. Posterior choroidal arteries

Explanation: Pineal gland is present posterior to midbrain so if tumor is in pineal gland ,it may l/t dorsal mid brain syndrome as it would press on the midbrain from behind. * MCA(Middle Cerebral Artery) not a part of Circle of Willis * PCA (Posterior Cerebral Artery) P1,P2 and 10-11 Post choroidal arteries P1 supplies- Midbrain P2 supplies -PCA Post choroidal arteries supplies -Pineal gland